Granulomatous hepatitis may be seen with -
1. Carbamazepine
2. Allopurinol
3. Phenylbutazone
4. All of the above

Correct answer: 4. All of the above